McEwan's pupil is seen in
1. Opioid poisoning
2. Mercury poisoning
3. Alcohol poisoning
4. Chronic lead poisoning

Correct answer: 3. Alcohol poisoning

Explanation: Stage of coma in ethyl alcohol poisoning The person may go to a stage of coma at a blood alcohol concentration of more than 300mg%. There will be stertorous breathing. The pulse is rapid and temperature is subnormal. Pupils remaining constricted. On slapping or pinching on the face, causes pupils to dilate and gradually return to constriction (McEwan's pupils) ref: FORENSIC MEDICINE AND TOXICOLOGY Dr PC IGNATIUS THIRD EDITION PAGE 437